JSY stands for -
1. Janani social yojana
2. Jan suchil yojana
3. Janani suraksha yojana
4. Jun sulab - sauchalay yojana

Correct answer: 3. Janani suraksha yojana

Explanation: JSY: JANANI SURAKSHA YOJANA:- Launched on 12 th April 2005. Objectives- to reduce maternal mortality and infant mortality through encouraging delivery at health institutions, and focussing on institutional care among women in below poverty line families. Salient features. 100% centrally sponsored scheme. Under NRHM, it integrates cash assistance with institutional care during antenatal , delivery and immediate postpartum care. The benefit given to all women ,both rural and urban, belonging to below poverty line household and aged 19 years and above, upto first two live births. In low performing states, the benefit will be extended to third child if the mother chooses to undergo sterilization in the health facility where she delivered, immediately after delivery. ASHA worker acts as a link health worker between poor pregnant women and public sector health institution. {Reference-park's textbook of preventive and social medicine, 23rd edition, pg no.455}